Patient with anotia, ideal hearing aid
1. In canal
2. Bone anchored hearing aid
3. Vestibular
4. Transcutaneous

Correct answer: 2. Bone anchored hearing aid

Explanation: Bone-anchored hearing aids can be used in People who have chronic inflammation or infection of the ear canal and cannot wear the standard "in the ear" air conduction hearing aids Children with malformed or absent outer ear and ear canals as in microtia or canal atresia Single-sideddeafness. Ref: Dhingra 7e pg 137.